All of the following are causes of hypocalcemia, EXCEPT
1. Acute pancreatitis
2. Chronic renal failure
3. Hypoparathyroidism
4. Vitamin D intoxication

Correct answer: 4. Vitamin D intoxication

Explanation: Vitamin D intoxication leads to elevated plasma concentration of calcium This can lead to contraction of blood vessels, high blood pressure, and calcinosis--the calcification of soft tissues. Causes of hypercalcemia Causes of hypocalcemia Hyperparathyroidism Multiple myeloma and other osteolytic diseases Metastatic carcinoma of bone Thiazide diuretics Vitamin D intoxication Hypoparathyroidism Chronic Renal failure Malabsorption Acute pancreatitis